Cause of death in amyloidosis involving kidney
1. Cardiac failure
2. Renal failure
3. Sepsis
4. Liver failure

Correct answer: 2. Renal failure

Explanation: Ref Robbins 8/e p254,9/e p261 Amyloidosis of the kidney is the most common and potentially the most serious form of organ involvement